Pauci immune glomerulonephritis is seen in ?
1. After transplant in Alports
2. Microscopic polyangitis
3. Henoch-schonlein nephritis
4. Lupus

Correct answer: 2. Microscopic polyangitis

Explanation: Ans. is 'b' i.e., Microscopic polyangitis